Regarding outpatient hysteroscopy all are true except :
1. Abnormal uterine bleeding is an indication
2. Normal saline as distension medium can be used
3. It is less accurate than saline infusion sonography (SIS)
4. It is not reliable to exclude endometrial carcinoma

Correct answer: 3. It is less accurate than saline infusion sonography (SIS)

Explanation: Hysteroscopy is the gold standard investigation for evaluation of uterine cavity Can be both diagnostic and therapeutic Normal saline can be used as distension medium but not suitable for monopolar electrosurgery. Other media: Carbon dioxide, Glycine, Manitol Indications: Abnormal uterine bleeding, Infertility, Mullerian anomalies, Recurrent hemorrhage, Misplaced IUCD, Chronic pelvic pain Sonohysterography or Saline infusion sonography includes instillation of saline in the uterine cavity and study with Transvaginal sonography. D.C.DUTTA'S TEXTBOOK OF GYNECOLOGY,PG NO:619,118, 6TH EDITION